In transverse lie, the presentation is :
1. Vertex
2. Breech
3. Brow
4. Shoulder

Correct answer: 4. Shoulder

Explanation: Ans. is d i.e. Shoulder Well friends, lets quickly see some important terminologies. Lie : It is the relationship between the long axis of the fetal ovoid to the long axis of the uterine ovoid. The lie can be (1)longitudinal, (2) transverse or (3) oblique. The commonest is longitudinal seen in 99.5% cases. Presentation : Is that part of the fetus that lies over the pelvic inlet and occupies the lower pole of the uterus. Presentation can be cephalic, podalic (breech) in case of longitudinal or oblique lie and shoulder (in case of transverse lie). Presenting part : Is the most dependant part of the fetus, which is felt first on vaginal examination. So in cephalic presentation, the presenting part may be vertex (most common), brow or face, depending upon the degree of flexion. Similarly in breech the fetus may be flexed as in flexed breech (most common), extended at the knees as in extended breech or completely extended as in footling breech. Attitude : Is the relation of the fetal parts to each other . The main attitudes are flexion and extension.